Facial Nerve stimulation during testing of nerve indicated by contraction of muscle?
1. Temporalis
2. Masseter
3. Sternoleidomastoid
4. Orbicularis oris

Correct answer: 4. Orbicularis oris

Explanation: Orbicularis oris. Orbicularis oris is a facial muscle All facial muscles are supplied by facial nerve Temporalis & Masseter are supplied by Mandibular nerve Sternocleidomastoid is supplied by spinal accessory nerve